First muscle to be involved in Volkmann's ischemic contracture of the forearm?
1. Flexor digitorum profundus
2. Flexor digitorum superficialis
3. Flexor Carpi Radialis
4. Extensor carpi radialis brevis

Correct answer: 1. Flexor digitorum profundus

Explanation: VOLKMANN'S ISCHAEMIC CONTRACTURE Following arterial injury ,patient develops ischaemic contractures of the affected muscles. Shortening of the intrinsic muscles in the hand produces a characteristic deformity: Flexion at the MCP joints Extension of the IP joints Adduction of the thumb ( 'intrinsic-plus' hand). Nerves injured by ischaemia sometimes recover, at least partially; thus the patient presents with deformity and stiffness, but numbness is inconstant. The most commonly affected sites are the forearm and hand, leg and foot. The earliest muscle involved is Flexor digitorum Profundus. In a severe case affecting the forearm, there will be wasting of the forearm and hand, and clawing of the fingers.